Vascular invasion is a characteristic feature of-
1. Candidiasis
2. Mucormycosis
3. Blastomycosis
4. Sporotrichosis

Correct answer: 2. Mucormycosis